Difficult intubation is anticipated in all except
1. Increase in posterior depth of mandible
2. Increased alveolar- mental distance
3. Receeding incisors
4. Temporomandibular joint fibrosis

Correct answer: 3. Receeding incisors

Explanation: Protruding incisors make intubation difficult.